Treatment of choice for sputum positive pulmonary tuberculosis detected in 1st trimester of pregnancy-
1. Defer till second trimester
2. Start cat. I immediately
3. Start cat. II immediately
4. Start cat. III immediately

Correct answer: 2. Start cat. I immediately

Explanation: Park's Textbook of Preventive and Social Medicine 23rd edition Page no: 196 Tuberculosis in pregnancy is usually treated with isoniazid, rifampicin and ethambutol for 2 months, followed by isoniazid and rifampicin for an additional 7 months. Ethambutol can be stopped after the first month if isoniazid and rifampicin susceptibility is confirmed.